Choline in seminal fluid is detected by ?
1. Barberio test
2. Florence test
3. ELISA
4. Agglutination inhibition

Correct answer: 2. Florence test

Explanation: Ans. is 'b' i.e., Florence test Microchemical tests for semen analysisFlorence test - Brown crystals of choline periodideBarberio's test - Yellow coloured crystals of spermin picrate.